Haloperidol induced extarpyramidal side effects are treated by ?
1. Benzodiazepines
2. Barbiturates
3. Anticholinergic drugs
4. SSRIs

Correct answer: 3. Anticholinergic drugs

Explanation: Ans. C. Anticholinergic drugs Commonly used medications for extra-pyramidal symptoms are anticholinergic agents such as Benztropine, Diphenhydramine and trihexyphenidyl.Another common course of treatment includes dopamine agonist agents such as pramipexole.